The process of destroying all life including spores is known as:
1. Sterilization
2. Disinfection
3. Antisepsis
4. Incineration

Correct answer: 1. Sterilization

Explanation: Sterilization: It is the process of destroying all life including spores. Disinfection: It is the removal of harmful microbes without the exception of spores. Antisepsis: It is the process by which the growth of micro organisms are inhibited on a surface but they are not destroyed completely. Ref: Park 21st edition, page 117.